Coenzymes for pyruvate dehydrogenase are A/E
1. TPP
2. CoA
3. Lipoic acid
4. NADPH

Correct answer: 4. NADPH

Explanation: D i.e. NADPH